The commonest type of ovarian tumour is :
1. Dermoids
2. Cystadenoma
3. Fibroma
4. Cystadenocarcinoma

Correct answer: 2. Cystadenoma

Explanation: Cystadenoma